Boerhave's syndorme, true is :
1. latrogenic
2. Silent manifestation
3. Present with acute chest pain
4. All

Correct answer: 3. Present with acute chest pain

Explanation: Ans. is 'c' i.e. Present with acute chest pain Boerhaave's syndrome Boerhaave's syndrome is spontaneous perforation of the esophagus, occuring usually due to severe barotrauma when a person vomits against a closed glottis. The pressure in the esophagus rapidly increases and the esophagus bursts at its weakest point, sending a stream of material into the mediastinum and often the pleural cavity as well. Most common location of perforation is in the left posterolateral aspect 3-5 cm above the gastroesophageal junction. Second most common site of perforation is at the midthoracic esophagus on the right side. Most cases follow a bout of heavy eating and drinking.